All of the following are known predesposing factors for cholangiocarcinoma except :
1. CBD stones
2. Clonorchis sinensis
3. Ulcerative colitis
4. Primary sclerosing cholangitis

Correct answer: 1. CBD stones

Explanation: Answer is A (CBD stone) : Cholelithiasis is not clearly a predisposing factor for Cholangiocarcinoma - Harrison The predisposing factors of cholangiocarcinoma include : I. Chronic hepato-biliary parasite infection (Clonorchiasis or Asiatic cholangio-hepatitis) Q Congenital Anomaly with ectatic ducts (Choledochal cyst).Q Sclerosing cholangitis Q Ulcerative colitis Occupational exposure to carcinogensQ(Rubber + Automotive plants) Note: Nodular lesions that arise at the bifitrcation of hepatic ducts are called Klastskin tumors. Q